Polyamine Ike putrescine is derived from
1. Arginine
2. Ornithine
3. Yohimibine
4. Arginosuccine

Correct answer: 2. Ornithine

Explanation: The enzyme ornithine decarboxylase (ODC) catalyzes the decarboxylation of ornithine (a product of the urea cycle) to form putrescine. This reaction is the committed step in polyamine synthesis. In humans, this protein has 461 amino acids and forms a homodimer.Ref: https://en.wikipedia.org/wiki/Ornithine_decarboxylase